Acute flaccid paralysis is reported in a child aged –
1. 0–3 years
2. 0–5 years
3. 0–15 years
4. 0–25 years

Correct answer: 3. 0–15 years